Most common cause of fulminant diabetes is?
1. Viruses
2. Diabetic Ketoacidosis
3. Non-ketotic hyperosmolar coma
4. Autoimmunity

Correct answer: 1. Viruses

Explanation: Bcz of virus - coxackie B, Mumps, Rubella Type IDM - insulinopenia Leading causes - 1) Autoimmunity 2) Fulminant DM | 3) Bronze DM - Hemochromatosis